Which of the following statement is/are true about Obstructive lung disease ?
1. mMRC dyspnea scale ,grade 2 includes shortness of breath when hurrying up inclines
2. Decreased FEV1/FVC ,TLC is increased
3. Normal PEFR and decreased in Lung volume
4. Roflumilast is introduced in management of COPD in Group C

Correct answer: 2. Decreased FEV1/FVC ,TLC is increased

Explanation: Acute asthma and Emphysema- TLC | due to air trapping Myasthenia gravis- TLC | RV| Obstructive Restrictive | in airflow | Lung volume - Expiratory -Inspiratory COPD Asthma Bronchiectasis ILD Scoliosis NM causes FEV1-| FVC- Normal or | TLC - Normal or | | PEFR Normal | | |PEFR Management of COPD Group A Low Risk, low symptom Bronchodilator Group B Low Risk, High symptom LABA/LAMA, if failed- LAMA+LABA Group C High Risk, Low symptom LAMA+LABA or LABA+ICS Group D High Risk, High symptom LAMA+LABA+ICS | symptoms persists Phosphodiesterase inhibitor (Roflumilast) or Macrolides mMRC DYSPNOEA SCALE (for COPD patients) Grade Impact 1 Incline (Breathlessness on going upstairs) 2 Slow walk than peers (Breathlessness on walking in straight surface) 3 Stops (Keeps on stops walking in between) 4 Too breathless to go out of his house GOLD (Global Initiative for Obstructive Lung Disease) classification